Structure not passing through the esophageal hiatus -
1. Left phrenic nerve
2. Right vagus nerve
3. Left vagus nerve
4. Left gastric artery

Correct answer: 1. Left phrenic nerve

Explanation: Oesophageal opening
-        Level- T10
-        At muscular portion derived from right crus
-        Structures transmitted

Oesophagus
Oesophageal branch of the left gastric artery
Vagus nerve